Maternal mortality rate (MMR) is expressed as
1. Per 100,000 births
2. Per 1000 live births
3. Per 100,000 live births
4. Per 1000 births

Correct answer: 3. Per 100,000 live births